Anaesthetic that has a smooth induction is
1. Diehyl ether
2. Isoflurane
3. N2O
4. Halothane

Correct answer: 4. Halothane

Explanation: Refer Katzung 10/e 404 KDT 6/e p372 Halothane and Sevoflurane have smooth induction So these are preferred agents for anaesthesia in children